Cardiac end of stomach lies at which rib
1. 8th rib
2. 7th rib
3. 9th rib
4. 10th rib

Correct answer: 2. 7th rib

Explanation: Nearer its pyloric than its cardiac end is a well-marked notch, the incisura angularis, which varies somewhat in position with the state of distension of the viscus; it serves to separate the stomach into a right and a left portion. ref - BDC 6e vol2 pg250